Adapalene is used in treatment of:
1. Acne vulgaris
2. Atopic dermatitis
3. Psoriasis
4. All of the above

Correct answer: 1. Acne vulgaris

Explanation: Adapalene (Differin) is a derivative of naphthoic acid that resembles retinoic acid in structure and effects. It is applied as a 0.1% gel once daily. Unlike tretinoin, adapalene is photochemically stable and shows little decrease in efficacy when used in combination with benzoyl peroxide. Adapalene is less irritating than tretinoin and is most effective in patients with mild to moderate acnevulgaris Ref: Katzung 11th edition Chapter 61.